Dextrose is added to the spinal anesthetic drugs to
1. Increase duration of action
2. Reduce plasma levels of local anesthetic to prevent toxicity
3. Increase specific gravity
4. Hasten onset of action

Correct answer: 3. Increase specific gravity

Explanation: By adding dextrose we maKe local anaesthetic hyperbaric and prevent uncontrolled ascending of local anaesthetics The local anesthetic solutions can be made hyperbaric by the addition of glucose or hypobaric by the addition of sterile water or fentanyl. A hyperbaric solution of local anesthetic is denser (heavier) than CSF, whereas a hypobaric solution is less dense (lighter) than CSF. Significance: Hyperbaric solutions tend to move to the most dependent area of the spine. With the patient in a head-down position, a hyperbaric solution spreads cephalad, and a hypobaric anesthetic solution moves caudal. A head-up position causes a hyperbaric solution to settle caudally and a hypobaric solution to ascend cephalad. An isobaric solution tends to remain at the level of injection.